Nasolacrimal duct drains into:
1. Superior meatus
2. Ethmoidal bulla
3. Inferior meatus
4. Middle meatus

Correct answer: 3. Inferior meatus

Explanation: Key Concept:

 The inferior meatus lies underneath the inferior concha, and is the largest of the three meatuses. 
 The nasolacrimal duct opens into it at the junction of its anterior one-third and posterior two-thirds. 
 This opening is guarded by the lacrimal fold, or Hasner’s valve.